The permissible levels of E.coli (number/ml) in potable water is
1. 20
2. 15
3. 10
4. 0

Correct answer: 4. 0